NKX3-1 immunohistochemical used for diagnosis of?
1. Colorectal carcinoma
2. Pancreatic carcinoma
3. Prostate
4. Renal cell carcinoma

Correct answer: 3. Prostate

Explanation: NKX3-1 expression acts as a transcription factor that has been found to play a main role in prostate development and tumor suppression. The loss of NKX3-1 expression is frequently observed in prostate. Other markers for prostate cancer are:- PSA(prostate specific antigen) AMACR Urinary PCA 3 TMPRSS2